Lutembacher's syndrome comprises of ?
1. Ventricular septal defect with aortic stenosis
2. Ruptured sinus of valsalva aneurysm
3. Atrial septal defect with mitral stenosis
4. Complete common atrioventricular canal

Correct answer: 3. Atrial septal defect with mitral stenosis

Explanation: Ans. is 'c' i.e., Atrial septal defect with mitral stenosis